The following drugs are avoided with warfarin
1. Antacids
2. Benzodiazepine
3. Nsaid's like Ibuprofen
4. Codeine, dihydrocodeine, paracetmol

Correct answer: 3. Nsaid's like Ibuprofen